Adult polycystic kidney disease is
1. Autosomal recessive
2. Autosomal dominant
3. X-linked recessive
4. X-linked dominant

Correct answer: 2. Autosomal dominant

Explanation: Ref: Robbins Pathology, 9th ed. pg. 946* ADPKD is autosomal dominant--Polycystic kidney disease.* Occurs due to mutation in PKD 1 and PKD 2 gene* MC type of mutation: PKD 1. (80-85%)* Pathological feature: Large multicystic kidney. It also involves commonly:# MC: Liver-Polycystic liver disease (40%)# Heart: Mitral valve prolapse (20-25%)# Brain: Berry aneurysm